MC age of presentation of gastric ulcer is:
1. 3rd decade
2. 4th decade
3. 5th decade
4. 6th decade

Correct answer: 4. 6th decade

Explanation: GUs tend to occur later in life than duodenal lesions, with a peak incidence reported in the sixth decade. More than one half of GUs occur in males and are less common than DUs, perhaps due to the higher likelihood of GUs being silent and presenting only after a complication develops.